Tumour showing dural enhancement with a tail is:
1. Medulloblastoma
2. Meningioma
3. Glioma
4. Acoustic neuroma

Correct answer: 2. Meningioma

Explanation: Ans. Meningioma